A patient of multiple myeloma presents with bony lesions. What is the best marker for prognosis of the disease:
1. Bone marrow plasma cell
2. Serum calcium level
3. Beta 2 microglobulin
4. Beta 1 microglobulin

Correct answer: 3. Beta 2 microglobulin

Explanation: Answer is C (b2 microglobulin): Serum b2 microglobulin is the single most powerful predictor of survival and can substitute for staging-H-16th